In meniere's disease all are seen, EXCEPT:
1. Ballooning of the Reissner's membrane
2. Hearing loss is fluctuating in nature
3. Salt restricted diet is advised
4. Tinnitus and hearing loss decreases during attack

Correct answer: 4. Tinnitus and hearing loss decreases during attack

Explanation: In meniere's disease there will be marked bulging of the reissner's membrane which herniated through the helicotrema to apical part of chorda tympani. Hearing loss and tinnitus increase during each attack. Patients with severe hydrops treated with diuretics, salt restricted diet, low-caffeine diet, avoidance of nicotine, sedatives such as diazepam etc.